Diagonal conjugate is defined as the distance between :
1. Upper border of symphysis pubis and the sacral Promontory
2. Lower border of symphysis pubis and the sacral Promontory
3. Lower border of symphysis pubis and the third piece of sacrum
4. Lower border of symphysis pubis and tip of sacrum

Correct answer: 2. Lower border of symphysis pubis and the sacral Promontory

Explanation: Lower border of symphysis pubis and the sacral Promontory